Eighty percent of all salivary stones occur in
1. Parotid
2. Submandibular
3. Sublingual
4. Minor salivary glands

Correct answer: 2. Submandibular